Which of the following is a prodrug ?
1. Lisinopril
2. Enalapril
3. Chlorpromazine
4. Dopamine

Correct answer: 2. Enalapril

Explanation: All ACE inhibitors are prodrugs except captopril and lisinopril.